Earliest response to iron therapy is -
1. Increase in Hb%
2. Reticulocytes
3. Increased PCV
4. Increased neutrophils

Correct answer: 2. Reticulocytes